Hidradenitis suppurativa is associated with:
1. Lung
2. Breast
3. Uterus
4. Kidney

Correct answer: 2. Breast

Explanation: Hidradenitis suppurativa of the nipple-areola complex or axilla is a chronic inflammatory condition that originates within the accessory areolar glands of Montgomery or within the axillary sebaceous glands. 20 Women with chronic acne are predisposed to developing hidradenitis. When located in and about the nipple-areola complex, this disease may mimic other chronic inflammatory states, Paget's disease of the nipple, or invasive breast cancer. Involvement of the axillary skin is often multifocal and contiguous. Antibiotic therapy with incision and drainage of fluctuant areas is appropriate treatment. Excision of the involved areas may be required. Large areas of skin loss may necessitate coverage with advancement flaps or split-thickness skin grafts. Ref: Schwartz's principle of surgery 9th edition, chapter 17.